Narrowest part of Infants respiratory tract
1. Glottis
2. Subglottis
3. Carina
4. None of the above

Correct answer: 2. Subglottis

Explanation: Q neonates narrowest part of larynk : Subglottis.
Q adutls narrowest part of larynk : Glottis.